A patient is diagnosed with Hepatitis B infection. Which of the following markers will always be present in his serum, if he develops chronic hepatitis?
1. HBc Ag
2. Anti HBs Ab
3. HBe Ag
4. Anti HBc Ab

Correct answer: 4. Anti HBc Ab

Explanation: A patient who has had exposure to HBV will have AntiHBc Ab even when he has moved into the chronic or recurrent stages. IgM anti-HBc reappears during acute recurrences while IgG Anti HBc is found in chronic states. The HBsAg antigen is present in chronic hepatitis B, while the antibody anti-HBs is not. Reference: Ananthanarayan and Paniker's Textbook of Microbiology Tenth edition